The crystalline lens derives its nourishment from
1. Blood vessels
2. Connective tissue
3. Aqueous and vitreous
4. Zonules

Correct answer: 3. Aqueous and vitreous

Explanation: C i.e. Aqueous and vitreous